Not used for erectile dysfunction -
1. Beta blockers
2. Siledenafil
3. PG-E,
4. Papaverine

Correct answer: 1. Beta blockers

Explanation: Ans. is 'a' i.e., b-blockers Drugs used for erectile dysfunctionPhosphodiesterase-5 inhibitors (Siledenafil, Todafil, Vardenafil).o By inhibiting PDE-5, these drugs prevent degradation of cGMP and potentiate the action of NO.o These are the DOC for pharmacological therapy of erectile dysfunction.Alprastadil (Prostaglandin El)o It is a powerful vasodilator.o It acts by increasing arterial inflow by vasodilation and reducing outflow by contracting the carporal smooth muscle that occludes draining venules.o It is the DOC for patients not responding to PDE-5 inhibitors.o It is directly injected into corpora cavernosa.Papaverineo It is a nonspecific phosphodiesterase inhibitor.o Injection of papaverine with or without phentolamine into corpus cavemosum produces penile tumiscence to permit intercourse.o Repeated injection can cause penile fibrosis.Androgenso Can be used when androgen deficiency is demonstrated to be responsible for the loss of libido and erectile dysfunction.Apomorphine (Laurence 9th/e p. 546)o A dopamine antagonist, is given by subcutaneous injection.